Sodium nitroprusside acts by activation of
1. Guanylate cyclase
2. K+ chanells
3. Ca++ chanells
4. Cyclic AMP

Correct answer: 1. Guanylate cyclase

Explanation: Nitroprusside generates NO that relaxes the vascular smooth muscle by activating Guanylate cyclase Refer kDT 6/e p548